Coprolalia is an important symptom for which of the following disorder ?
1. Anxiety disorder
2. Avoidant personality disorder
3. Tourette's disorder
4. Stereotypic movement disorder

Correct answer: 3. Tourette's disorder

Explanation: Diagnosis of Tourette's disorder : History ofmultiple motor tics and at least one vocal tic at some point. Onset < 18 years of age (between 10 -12 years of age ) No tic-free period of > 3 consecutive months in a period of 1 year. Coprolalia occurs in 10% patients of Tourette's syndrome